All are second messengers except
1. Guanylyl cyclase
2. cAMP
3. IP3
4. DAG

Correct answer: 1. Guanylyl cyclase

Explanation: Ans. (a) Guanylyl cyclase(Ref: Ganong, 25th ed/p.56)The second messenger systems that are activated through coupling of hormone-receptor complexes by G-protein are,#Adenylyl cyclase-cAMP system#Inositol triphosphate (IP3) - Diacylglycerol (DAG) - Calcium (Ca2+) system#Guanylyl cyclase-cGMP systemGuanylyl cyclase is the enzyme responsible for formation of nitric oxide. Nitric oxide is the second messenger involved in cell signaling